Which of the following is the most important determinant of prognosis in neonatal congenital diaphragmatic hernia (CDH)?
1. Pulmonary Hypertension
2. Delay in surgery
3. Size of defect
4. Gestational age at diagnosis

Correct answer: 1. Pulmonary Hypertension

Explanation: Lung hypoplasia and pulmonary hypertension are the two most important prognostic factors in case of congenital diaphragmatic hernia. Ref: Textbook of neonatal medicine: a Chinese perspective By Victor Y. H. Yu, page 333; Nursing the Neonate By Maggie Meeks, Maggie Hallswoh, Helen Yeo page 147.